Which of the following muscle is supplied by superficial branch of ulnar nerve
1. Palmaris longus
2. Palmaris brevis
3. Abductor digiti minimi
4. Adductor pollicis

Correct answer: 2. Palmaris brevis

Explanation: Palmaris longus is supplied by the median nerve. Abductor digiti minimi and adductor pollicis is supplied by the deep branch of ulnar nerve. Palmaris Brevis is supplied by the superficial branch of ulnar nerve along with digital branches. B D Chaurasia 7th edition Page no: 124,123